Osteomalacia is
1. defective osteoid + normal mineralization
2. normal osteoid + defective mineralization
3. abnormal osteoid + abnormal mineralization
4. normal osteoid an demineralization

Correct answer: 2. normal osteoid + defective mineralization